The band which disappears on muscular contraction is?
1. A
2. H
3. I
4. M or CM

Correct answer: 2. H

Explanation: B i.e. H